Cart-wheel appearance of tympanic membrane in ASOM is due to
1. Perforation of tympanic membrane
2. Edema of tympanic membrane
3. Congested blood vessels along malleus
4. Granulation tissue on tympanic membrane

Correct answer: 3. Congested blood vessels along malleus

Explanation: In the stage of presuppuration of ASOM, there is congestion of pars tensa. A leash of blood vessels appears along the handle of malleus and at the periphery of tympanic membrane imparting it a cart-wheel appearance. (Ref: Textbook of diseases of ENT, Dhingra 7th edition; pg no 67)